All can cause release of histamine except?
1. D-TC
2. Morphine
3. Propranolol
4. Vancomycin

Correct answer: 3. Propranolol

Explanation: Ans. is 'c' i.e., Propranolol